All are causes of granular contracted kidneys, except-
1. Benign nephrosclerosis
2. Diabetes mellitus
3. Chronic PN
4. Chronic GN

Correct answer: 2. Diabetes mellitus

Explanation: In benign nephrosclerosis, the kidneys will be reduced in size, and weight. The capsule is often adherent to the cortical surface. The surface of the kidney is finely granular and shows V-shaped areas of scaring. In chronic pyelonephritis, the kidneys are small and contracted, showing an unequal reduction, which distinguishes it from other contracted kidneys. In chronic glomerulonephritis, the kidneys are small and contracted. The capsule is adherent to the cortex and the cortical surface is diffusely granular. on cut section, the cortex is narrow and atrophic, while the medulla is unremarkable. From Textbook of pathology Harsh Mohan,6th edition pg no:687,682,674